Which of the following statements is true for Nigro's regimen
1. It is a regimen for anal canal neoplasm
2. It incorporates chemotherapy with radiation as an alternative to surgery
3. Has the advantage of preserving continence
4. All of the above

Correct answer: 4. All of the above

Explanation: Nowadays, primary treatment of Anal cancer is by chemoradiotherapy , the chemotherapy sually including a combination of 5-fluorouracil (5-FU) with mitomycin C or cisplatin. Ref: Bailey & Love's Short Practice of Surgery,E25,Page-1269